Electron transport chain involves all except:
1. NADP
2. NAD
3. Coenzyme Q
4. FAD

Correct answer: 1. NADP

Explanation: Ans: a (NADP)Ref: Vasudevan Sreekumari, 6th edi., pg. 228NADPH is used for the reductive biosynthetic reactions e.g., de novo synthesis of fatty acid, synthesis of cholesterol and steroids. NADPH is mainly generated by the HMP shunt pathway.NADPH is not entering the ETC and NADPH will not generate ATP. NADH is used for reducing reactions in catabolic pathway e.g., pyruvate to lactate NADH enters the electron transport chain, and ATP is generatedETC is having four complexComplex one - NADH Co Qreductase or NADH dehydrogenase complex Complex two - succinate Q reductase Complex three - cytochrome reductase Complex four - cytochrome oxidaseSummary of electron flow in ETCComplex one - NADH-FMN-FeS-CoQ - 4 protons out of (ubiqunone) mitochondria Complex two -Succinate-FAD-FeS-CoQ (ubiqunone)Complex three -CoQ-FeS-Cytochromeb-cytochrome cl-cytochrome c -4 protons out Complex four -Cytochrome c-CuA-Cytochrome -2 protons out.a-Cytochrome a3-CuB -oxygen